Graft versus host reaction is caused by
1. B-Lymphocytes
2. T-lymphocytes
3. Monocytes
4. Leukocytes

Correct answer: 2. T-lymphocytes